The differential diagnosis of botulism includes all the following except -
1. Myasthenia Gravis
2. Guillain Barre syndrome
3. Polio
4. Clostridial myonecrosis

Correct answer: 4. Clostridial myonecrosis